CPD-A blood can be stored for?
1. 21 days
2. 30 days
3. 35 days
4. 42 days

Correct answer: 3. 35 days

Explanation: Ans. is 'c' i.e., 35 days AdditiveShelf life of RBCAcid-citrate-dextrose (ACD)21 daysCitrate phosphate dextrose (CPD)21 daysCitrate phosphate dextrose-adenine (CPD-A)35 daysSaline-adenine-Glucose-Mannitol (SAG-M)42 days